Partogram is not used to monitor-
1. Cervical dilatations
2. Uterine contractions
3. Descent of head
4. Fetal lung maturity

Correct answer: 4. Fetal lung maturity

Explanation: Ans. is 'd' i.e., Fetal lung maturity Partographo It is a composite graphical record of key data (maternal & fetal) during labour, entered against time on single sheet of paper.Componentso Patient identificationo Time -recorded at hourly intervalo Fetal heart rate - recorded at every 30 minuteso State of membranes & colour of liquor - to mark 'I' for intact membranes, 'C' for clear & 'M' for meconium stained liquoro Cervical dilatation & descent of the heado Uterine contractionso Drugs & fluidso Blood pressure - every 2 hrs & pulse rate at every 30 minuteso Oxytocino Urine analysiso Temperature record